Characteristic of chronic eczema -
1. Erythema
2. Induration
3. Lichenification
4. Edema

Correct answer: 3. Lichenification

Explanation: Ans. is 'c' i.e., Lichenification Phase (stage)Clinical featuresHistologyo Acute* Vesicles* Erythema* Edema* Crusts# Spongiosis (intracellular edema)o Subacute* Erythmatous, hyperpigmented plaque* Scales & Crusts# Parakeratosiso Chronic# Lichenification# Thickening of stratum malpighiNote:- Lichenification is a triad of hyperpigmentation, skin thickening and increased skin marking.